Absolute contraindication to thrombolytic therapy is
1. Pregnancy
2. History of hemorrhagic stroke in past one year
3. Patients on nitrates
4. Hypertension

Correct answer: 2. History of hemorrhagic stroke in past one year

Explanation: Ans. b (History of hemorrhagic stroke in past one year). (Ref. Harrison's Medicine - 18th/Table 370-1).Thrombolytic therapyIndicationContraindicationClinical diagnosis of strokeOnset of symptoms to time of drug administration 3 hCT scan showing no hemorrhage or edema of >1/3 of the MCA territoryAge 18 yearsConsent by patient or surrogateSustained BP >185/110 mm Hg despite treatmentPlatelets <100,000; HCT <25%; glucose <50 or >400 mg/dLUse of heparin within 48 h and prolonged PTT, or elevated INRRapidly improving symptomsPrior stroke or head injury within 3 months; prior intracranial hemorrhageMajor surgery in preceding 14 daysMinor stroke symptomsGastrointestinal bleeding in preceding 21 daysRecent myocardial infarctionComa or stupor